All of following are the Cellular Components of Taste Buds except:-
1. Zymogenic Cells
2. Basal Cell
3. Sustentacular Cells
4. Gustatory Cells

Correct answer: 1. Zymogenic Cells

Explanation: Three different types of cells can be identified in taste buds: The Supporting or Sustentacular Cells are elongated and exhibit a Darker Cytoplasm and Slender, Dark Nucleus. The Taste Cells or Gustatory cells exhibit a Lighter Cytoplasm and a more Oval, Lighter Nucleus. The Basal Cells are located at periphery of taste bud near the basement membrane. The Basal Cells give rise to both taste and supporting cells. Zymogenic cells are seen in Gastric Glands.